Trigeminal nerve has how many nuclei in CNS
1. 3
2. 4
3. 5
4. 6

Correct answer: 2. 4